Hemoglobin acts as a buffer because of:
1. Glycine
2. Histidine
3. Alanine
4. Valine

Correct answer: 2. Histidine

Explanation: Heamoglobin has 4 polypeptide chains, two identical a- chains and two identical p chains.Iron (Fe2+) of Hb is bound to histidine & four pyrrole rings.